Mucosa is involved in –
1. Psoriasis
2. Lichen planus
3. Alopecia
4. Scabies

Correct answer: 2. Lichen planus

Explanation: Diseases involving oral mucosa :- Lichen plaints, Pemphigus, Infections (Candida, Secondary syphilis, HSV), Leucoplakia, Erythema multiforme, Peutz Jegher syndrome, Aphthous ulcers, Bechet's disease, squamous cell carcinoma